Red degeneration occurs maximally in :
1. 1st trimester
2. IInd trimester
3. IIIrd trimesterPuerperium
4. Pueroerium

Correct answer: 2. IInd trimester

Explanation: llnd trimester